Most common carcinoma after burns is
1. Squamous cell carcinoma
2. Adenocarcinoma
3. Melanoma
4. Mucoid carcinoma

Correct answer: 1. Squamous cell carcinoma